True about the statement is: When null hypothesis is rejected when it is true?
1. Type I alpha error
2. Type II beta error
3. Gamma error
4. All of the above

Correct answer: 1. Type I alpha error